True about keloid is
1. Wide local excision is treatment of choice
2. It has more collagen and vascularity
3. Will not spread beyond wound site
4. Elevated levels of growth factor is not seen

Correct answer: 2. It has more collagen and vascularity

Explanation: Keloid :

Excess scar tissue that extends beyond wound site.
It has more collogen and vascularity.
Elevated levels of growth factors seen.
Intralesional injection of Triamcinolone or Intralesional excision is used as treatment.